You are examining a nephrectomy specimen diagnosed as renal cell carcinoma. On microscopic examination you find that the tumour cells contain glycogen and lipids. What will be your report regarding the diagnosis?
1. Clear cell Ca
2. Papillary Ca
3. Chromophobe renal Ca
4. Collecting duct Ca

Correct answer: 1. Clear cell Ca

Explanation: Clear cell Ca arises from the proximal tubular cells. On gross examination it's a solitary unilateral lesion usually with a pseudocapsule. On microscopic examination the tumour cells are clear and contain glycogen and lipids. Most are well differentiated. Papillary Ca arises from the DCT. It may be multifocal or bilateral. Typically they are hemorrhagic and cystic and composed of cuboidal or low columnar cells. Chromophobe Ca arises from intercalated cells of collecting duct and the tumour cells are pale eosinophilic often with perinuclear halo. Ref: Robbin's illustrated, 7th Edition, Page 1016, 1017